Late deceleration indicates:
1. Head compression
2. Cord compression
3. Foetal hypoxia
4. Breech presentation

Correct answer: 3. Foetal hypoxia

Explanation: Ans. C. Foetal hypoxiaDeceleration pattern - Three typea. Early deceleration - due to head compressionb. Late deceleration - chronic placental insufficiencyc. Variable deceleration - cord compressiond. Sinusoidal pattern - It is stable baseline FHR with fixed base line variability without any acceleration. If is often associated with fetal anaemia, feto-maternal hemorrhage, fetal hypoxia, and when narcotics are given to motherse. In situations of uteroplacental insufficiency, the uterine contractions may decrease the placental perfusion sufficiently to cause fetal hypoxia which outlasts the duration of the contraction.f. The FHR tracing shows decelerations which begin with the peak of the uterine contractions and persists even after the conclusion of the contraction (late deceleration), late decelerations are indicative of fetal compromise